Not a part of Infant mortality-
1. Neonatal mortality
2. Postneonatal mortality
3. Late neonatal death
4. Still birth

Correct answer: 4. Still birth

Explanation: Ans. is 'd' i.e., Stillbirth Components of infant mortality | | | Neonatal deaths Post Neonatal deaths Deaths occurring during the neonatal period commencing from birth and ending 28 completed days after birth. Deaths occurring from 28 days of life to under one year. | | | Early Neonatal deaths Late Neonatal deaths Deaths occurring during the first seven days of birth. Deaths occurring from seven days to 28 completed days after birth.